Newborn eye with respect to refractive error is -
1. Emmetropic
2. Hypermetropic
3. Myopic
4. Astigmatic

Correct answer: 2. Hypermetropic

Explanation: Ans. is 'b' i.e., Hypermetropic Eve at birtho Anteroposterior diameter of eye ball is about 16 5 mm (70% of adult size). Adult size is attained by 7-8 yearso Corneal diameter is about 10 mm. Adult size (11.7 mm) is attained by 2 years of age.o Anterior chamber is shallow and angle is narrowo Lens is spherical at birth.o RetinaApart from macular area, the retina is fully differentiated. Macula differentiates 4-6 months afterbirtho Myelination of optic nerve fibres has reached the lamina cribrosao New born is usually hypermetropic by +2 to +3D.o Orbit is more divergent (50deg) as compared to adult (45deg).o Lacrimal gland is still underdeveloped and tears are not secreted.